Commonest complication following intra uterine device insertion is:
1. Bleeding
2. Pain
3. Pelvic infection
4. Uterine perforation

Correct answer: 1. Bleeding

Explanation: The commonest complication following IUD insertion is increased vaginal bleeding. Greatest blood loss is caused by larger non medicated devices. Ref: Park, 22nd edition pg: 459